Diarthrosis is known as
1. Synovial joint
2. Suture
3. Symphysis pubis
4. Gomphosis

Correct answer: 1. Synovial joint